Risk factors for suicide include:
1. Initial stages of recovery from depression
2. Being on Lithium treatment
3. Being married
4. Employed

Correct answer: 1. Initial stages of recovery from depression

Explanation: Ans. A. Initial stages of recovery from depressionParadoxical suicide - with initial recovery of suicide there may be increased risk of suicide as the person may gain energy to perform the act of suicide